Which of the following is true regarding precocious puberty :
1. Sexual maturity is attained early
2. Mental function is increased
3. No reproductive function
4. Body proportions are enlarged

Correct answer: 1. Sexual maturity is attained early

Explanation: Precocious puberty is the appearance of appropriate secondary sexual characters before the age of 8 years and occurrence of menstruation before 10 years of chronological age. Also know : Delayed puberty : is considered delayed when the secondary sexual characters do not appear by the age of 14, and menarche is not established by 16 years of age. REF : gynecology book of shaw 17th